Parietal cells in the stomach secrete a protein crucial for the absorp on of vitamin B12 by the ileum. What is this protein?
1. Intrinsic factor
2. Gastrin
3. Somatostatin
4. Cholecystokinin (CCK)

Correct answer: 1. Intrinsic factor